Long term use of lithium causes :
1. Peripheral neuropathy
2. Hypothyroidism
3. Anaemia
4. Jaundice

Correct answer: 2. Hypothyroidism

Explanation: Ans. is 'b' Hypothyroidism Teratogenic effects of lithium:Lithium can be transmitted to child through breast milk*Lithium toxicity in new bom manifested byFetal goitre*CyanosisHepatomegaly